End-Product of the action of salivary amylase is
1. Mannose
2. Maltose
3. Sucrose
4. Fructose

Correct answer: 2. Maltose

Explanation: Salivary alpha-amylase hydrolyse the alpha-1,4-glycosidic linkage, so as to produce smaller subunits like maltose, isomaltose, dextrins and oligosaccharides.Ref: DM Vasudevan, page no: 39